Most common orbital tumor in children-
1. Rhabdomyosarcoma
2. Retinoblastoma
3. Melanoma
4. Chloroma

Correct answer: 1. Rhabdomyosarcoma

Explanation: Malignant tumor arise from pleuripotent mesenchymal cells , seen in childrens below 15yrs of age and common in adults Ref : ak khurana 6th edition